Which is true regarding umbilical cord:
1. Two arteries
2. Umblical cord pulsation rate corresponds to maternal pulsation rate
3. Covered by amnion and chorion
4. Two veins

Correct answer: 1. Two arteries

Explanation: Two arteries